Which of the following statements regarding acarbose is FALSE ?
1. It acts by inhibiting the enzyme alpha-glucosidase
2. It reduces post-prandial hyperglycemia
3. It decreases the progression of impaired glucose tolerance to overt diabetes mellitus
4. It can cause hypoglycemia

Correct answer: 4. It can cause hypoglycemia